In a acute starvation feeling of intense hunger lasts -
1. 12-24 hours
2. 24-36 hours
3. 36-48 hours
4. 48-60 hours

Correct answer: 3. 36-48 hours

Explanation: Ref:The essential of forensic medicine and toxicology Dr.K.S NARAYAN REDDY 32nd edition g no :320 In acute starvation, there is a feeling of hunger for the first 30 to 48 hours which is followed by the pain in the epigastrium which is relieved by pressure